Bald tongue of Sandwith is seen in
1. Vitamin B12 deficiency
2. Pellagra
3. Folic acid deficiency
4. All of the above

Correct answer: 2. Pellagra